xylene and toluene ate types of
1. inhalants
2. hallicinigens
3. stimulants
4. anabolic androgenic steroids

Correct answer: 1. inhalants

Explanation: Inhalants * FAMOUS COMPONDS==Toluene, xylene, trichloroethylene AGE OF ONET-----------Adolescent * Breath only for minutes, * inexpensive, * legal to possess, * easily concealed * COMPLICATIONS * Respiratory depression, * aspiration, * temporal lobe epilepsy, * leukoencephalopathy * LAB INVESTIGATION * Urine.============. Gas chromatography Ref.Kaplon and Sadock, synopsis of psychiatry, 11 th edition, pg no.656